A patient with cryptogenic cirrhosis is scheduled for liver transplant surgery. During the operation rounds, the transplant physician explains to his residents that one of the reasons a surgeon must pay close attention to the anatomic location of the liver is that this organ:
1. Receives blood only from the hepatic arteries
2. Manufactures red blood cells in an adult
3. Drains bile from the quadrate lobe into the right hepatic duct
4. Drains venous blood into the hepatic veins

Correct answer: 4. Drains venous blood into the hepatic veins

Explanation: The liver receives blood from the hepatic artery and portal vein and drains its venous blood into the hepatic veins. The liver manufactures red blood cells in the fetus. The liver plays important roles in bile production and secretion. The quadrate lobe drains bile into the left hepatic duct, not the right hepatic duct, whereas the caudate lobe drains bile into the right and left hepatic ducts. The gallbladder functions to concentrate and store bile.